Cricothyrotomy is converted to tracheostomy
1. To avoid hypoxia
2. To avoid subglottic stenosis
3. To facilitate oxygenation
4. Easy consumption of food

Correct answer: 2. To avoid subglottic stenosis

Explanation: Ans. (B) To avoid subglottic stenosisRef: Bailey and Love Page 695* To avoid subglottic stenosis if we give ventilation via the cricothyrotomy tube we must change it to Tracheostomy at the earliest.